Lines of zahn occur in which of the following
1. Postmortem clot
2. Infract
3. Embolus
4. Coralline thrombus

Correct answer: 4. Coralline thrombus

Explanation: Ref Robbins 9/e p 125 thrombi often have grossly and microscopically apparent laminations called lines of zahn,these represent pale platelet and fibrin deposit altered with red cell rich layers .such laminations represent that thrombus has formed in flowing blood.their presence can be therefore distinguish antemortem thrombus from the bland non lamentated clots occuring in postmortem clot